A 23-year-old man is receiving penicillin for the treatment of a group A strep throat infection. He now returns to the clinic with new symptoms of a rash and diffuse joint discomfort. On physical examination, there are areas of urticaria on his arms and back. The joints appear normal and he has no oral lesions. A urinalysis is positive for red cell casts and protein. Which of the following is most characteristic of the syndrome?
1. it usually requires corticosteroids
2. symptoms last several months
3. it may recur after apparent recovery
4. it may be transferred by leukocyte infusions

Correct answer: 3. it may recur after apparent recovery

Explanation: The symptoms of serum sickness are usually self-limited and may recur after apparent recovery. The natural course is 1-3 weeks. Recurrence can occur rapidly (12-36 hours) if repeat exposure to the offending antigen occurs.